In the media of the eye, highest refractive index is of the:
1. Cornea
2. Aqueous humour
3. Lens
4. Vitreous humour

Correct answer: 3. Lens

Explanation: Ans. Lens